Surgery on ear drum is done using:
1. Operative microscope
2. Laser
3. Direct vision
4. Blindly

Correct answer: 1. Operative microscope

Explanation: Ans: a (Operative microscope)Ref: Still searching